What is the drug of choice to control supraventricular tachycardia
1. Adenosine
2. Propranolol
3. Verapamil
4. Digoxin

Correct answer: 1. Adenosine